Decidualization of endometrium is due to
1. Estrogen
2. Progesterone
3. Inhibin
4. FSH

Correct answer: 2. Progesterone

Explanation: Progesterone is responsible for decidualization of endometrium.